Female presents with history of color change from pallor to cyanosis on exposure to cold in fingers. This condition is mostly associated with ?
1. Scleroderma
2. Leukemia
3. Lung infections
4. Hepatosplenomegaly

Correct answer: 1. Scleroderma

Explanation: History of color change from pallor to cynosis on cold exposure suggests raynaud's phenomenon. Raynaud's phenomenon is the most common and earliest manifestation of generalized scleroderma (systemic sclerosis).